A patient presented with a progressive history of muscle weakness resulting in getting up from a chair and climbing steps. The physician also notices a lilac colored discoloration of the upper eyelids associated with periorbital edema. Laboratory evaluation reveals increased creatinine phosphokinase and a positive antinuclear antibody. Which of the following antibodies is most expected to be seen in this patient?
1. Anti-Jo1 antibodies
2. Anti-P155 antibody
3. Anti-P140 antibody
4. Anti-Mi2 antibodies

Correct answer: 4. Anti-Mi2 antibodies

Explanation: Patient is having proximal muscle weakness Lab investigations indicate that the patient is having Myopathy and skin manifestations suggesting it's an inflammatory condition.Dermatomyositis:- Systemic autoimmune disease that typically presents with proximal muscle weakness (slow in onset) and skin changes. Pathogenesis Damage to small blood vessels contributes to muscle injury. Deposition of the complement membrane attack complex (C5b-9) within capillary beds Autoantibodies associated with specific clinical features:- Autoantibodies Association Anti-Mi2 antibodies Directed against a helicase Gottron papules and heliotrope rash Anti-Jo1 antibodies Directed against the enzyme histidyl t-RNA synthetase Mechanic's hands Anti-P155/P140 antibodies Directed against several transcriptional regulators Paraneoplastic and juvenile variant. Various rashes are described in dermatomyositis, but the most characteristic ones are:- Lilac colored discoloration of the upper eyelids (heliotrope rash) associated with periorbital edema-Gottron papules seen on extensor surface. M/E:-Muscle biopsies-Perimysial inflammation-Perifascicular atrophy (Refer to the image below).